The prochordal plate marks the site of the future
1. Umbilical cord
2. Heart
3. Mouth
4. Anus

Correct answer: 3. Mouth

Explanation: The prochordal plate is a circular, midline thickening of hypoblast cells that are firmly attached to the overlying epiblast cells. The plate will eventually develop into a membrane called the Buccopharyngeal membrane at the site of the future mouth.